Tertiary vitreous is represented by
1. Zonular system
2. Ciliary body
3. Anterior uvea
4. Lens

Correct answer: 1. Zonular system

Explanation: Answer- A. Zonular system"Tertiary vitteous indicates the mnular system. The pimary and secondary vitreous are stages in developmmt of vitreous,However the tertiary vitreous i.e. the zonules are named so only because of their proximity to the vitreous.